Screening for nephropathy in prepubertal children with type 1 DM should be initiated after how many years of disease onset?
1. 2 years
2. 3 years
3. 4 years
4. 5 years

Correct answer: 4. 5 years

Explanation: d. 5 years(Ref: Nelson 20/e p 2781; ADA recommendations 2017)Annual screening for albuminuria with a random spot urine sample for albumin-to-creatinine ratio should be considered once the child has had type 1 diabetes for 5 years.